After meiotic division, the primary oocyte remains arrested in
1. Diplotene stage
2. Pachytene stage
3. Metaphase
4. Telophase

Correct answer: 1. Diplotene stage

Explanation: At the time of birth all primary oocyte are in the prophase of meiotic division The primary oocyte remain in prophase and complete their first meiotic divison until they mature and ready to ovulate Human embryology Tenth edition Inderbier Singh Page 24